"Antihistone" antibodies are detectable in:
1. CREST
2. PAN
3. Drug induced Lupus
4. Intestinal lymphoma

Correct answer: 3. Drug induced Lupus

Explanation: Drug induced Lupus